Which of the following is used to take cervical smear:
1. Pipelle spatula
2. Sims spatula
3. Ayre's spatula
4. Colposcope

Correct answer: 3. Ayre's spatula

Explanation: Ayre's spatula Used to take cervical smear(Pap smear) It is a wooden spatula with U shaped openings on one side and a flat surface on another. Takes sample from squamocolumnar junction.